Tolterodine used in overactive bladder acts by which receptor:
1. Ml
2. M2
3. M3
4. M4

Correct answer: 3. M3

Explanation: Ans. c. M3Ref: Goodman Gilman 13th E/P157M3 are Gq subtype of GPCR, which increase calcium and that causes contraction of detrusor. In case of overactive bladder inhibition of M3 is crucial for treatment by anticholinergics.Anticholinergics used in overactive bladder are:OxybutininTolterodineFesoterodineFlavoxateTrospiumDarifenacinSolifenacin